Caries sicca refer to -
1. Tuberculosis of shoulder
2. Tuberculosis of wrist
3. Tuberculosis of ankle
4. Tuberculosis of calcaneum

Correct answer: 1. Tuberculosis of shoulder

Explanation: Ans. is 'a' i.e., Tuberculosis of shoulder Tuberculosis of shoulder:* Tuberculosis of the shoulder is uncommon.* It usually starts as an osteitis but is rarely diagnosed until arthritis has supervened. This may proceed to abscess and sinus formation, but in some cases the tendency is to fibrosis and ankylosis.* If there is no exudate the term 'caries sicca' is used.* They may be confused with frozen shoulder clinically.